All of the following are indices to define obesity, EXCEPT:
1. Chandler's index
2. Corpulence index
3. Quetlet's index
4. Body mass index

Correct answer: 1. Chandler's index

Explanation: Various indices used to detect obesity include: Corpulence index Quetlet's index/ Body mass index Ponderal index Broca index Lorentz's formula Ref: Park 21st edition, page 369.